All of the following can be used for the prophylaxis of pneumonitis carinni Pneumonia EXCEPT
1. Trimethoprim/Sulfamethoxazole
2. Dapsone 50 mg bid Pdeficien P0 or 100 mg/d P0
3. Aerosolized pentamidine
4. Clindamycin

Correct answer: 4. Clindamycin